All are mononuclear-macrophages except ?
1. Histiocytes
2. Microglia
3. Kupfer cells
4. B-cells

Correct answer: 4. B-cells

Explanation: Ans. is 'd' i.e., B-cells Blood macrophages - Monocytes Tissue macrophages - Histocytes Lung - Alveolar macrophages Brain - Microglia Liver - Kupffer cells Bone - Osteoclasts Kidney - Mesangial cells